Which of the following is an example of disability limitation
1. Reducing occurrence of polio by immunization
2. Resting affected limbs in neutral position
3. Providing calipers for walking
4. Arranging for schooling of child suffering from PRPP (post polio residual paralysis)

Correct answer: 2. Resting affected limbs in neutral position

Explanation: Reducing occurrence of polio by immunization - Specific protection Arranging for schooling of child suffering from PRPP (post polio residual paralysis) - Rehabilitation Resting affected limbs in neutral position - Disability limitation Providing calipers for walking - Rehabilitation Ref : Park's Textbook of Preventive medicine